Which of the following are suspected carcinogens for bladder carcinoma?
1. Phenacitin
2. Tobacco
3. Aniline dye
4. All the above

Correct answer: 4. All the above

Explanation: Ans. is 'd' i.e., All the above Risk factors for transitional cell carcinoma (TCC) of bladder -1. Smoking - Major etiological factor.2. Occupational exposure to chemicals - Nephthylamine benzidine, aniline dyes, acrolein.3. Schistosoma haematobium (Bilharziasis) - It is a risk factor for both TCC & SCC.4. Drugs - Phenacetin5. Cyclophosphamide therapy6. Pelvic irradiations